Karyotyping most commonly done under light microscopy:
1. G banding
2. Q banding
3. C banding
4. R banding

Correct answer: 1. G banding

Explanation: Karyotype Obtained by arranging each pair of autosomes according to length, followed by sex chromosomes. Staining methods have been developed that allow identification of individual chromosomes on the basis of distinctive and reliable pattern of alternating light and dark bands. One most commonly used involves a Giemsa stain and is hence called G banding.